Which of the following is not a recognized treatment for carpal tunnel syndrome?
1. Nerve stimulation therapy.
2. Steroid injection.
3. One-portal endoscopic surgical release.
4. Two-portal endoscopic surgical release.

Correct answer: 1. Nerve stimulation therapy.

Explanation: Ans. A. Nerve stimulation therapyIf symptoms are not severe and there is not significant and progressive neuropathy, then non-operative management must be considered. This includes splint age, hand therapy, steroid injection and even yoga has been proven to be beneficial. Alternatively, a patient could be referred for either open or endoscopic release